Most common cause of death in diphtheria is due to
1. Airway compromise
2. Toxic cardiomyopathy
3. Sepsis
4. Descending polyneuropathy

Correct answer: 2. Toxic cardiomyopathy

Explanation: Answer- B. Toxic cardiomyopathyMost common cause of death in diphtheria cardiomyopathy